In implementation of health programme, best thing to do is –
1. Discussion and decision taken by the health ministry regarding implementation
2. Discussion with people in community and decide according to it
3. Discussion with leaders in community and implement accordingly
4. Discussion with doctors in PHC and implement accordingly

Correct answer: 2. Discussion with people in community and decide according to it

Explanation: " The purpose of health planning is to meet the health needs and demands of the people. Health needs as seen by the people are not exactly the same as seen by the experts. some needs may not be perceived at all; others vaguely perceived, and still other awaken only on contact with new way of life. In a democratic society people’s needs may be presented as demands."